Which of the following thalamic nuclei has a motor function?
1. Lateral dorsal nucleus
2. Lateral posterior nucleus
3. Mediodorsal nucleus
4. Ventral lateral nucleus

Correct answer: 4. Ventral lateral nucleus

Explanation: The ventral lateral nucleus receives motor input from the extrapyramidal (striatal) motor system (globus pallidus and substantia nigra) and from the cerebellum (dentate nucleus).